YAG laser capsulotomy is used in-
1. Retinal detachment
2. Diabetes
3. After-cataract
4. Refractive errors

Correct answer: 3. After-cataract

Explanation: *After cataract is treated by Nd-YAG laser posterior capsulotomy. *YAG laser is used to create holes e.g. posterior capsulotomy,irototomy. Ref: Khurana 7th/e p.212